Prepyloric channel ulcer is of grade
1. 1
2. 2
3. 3
4. 4

Correct answer: 3. 3

Explanation: Type 1- In the antrum near the lesser curve, Type 2- combined gastric ulcer ( in the body) with duodenal ulcer, Type 3 - prepyloric ulcer, Type 4 - gastric ulcer in the proximal ulcer or cardia. Reference : SRB edition : 5 page: 824